Which of the following insecticides is a natural product ?
1. Dieldrin
2. Pyrethnun
3. Parathion
4. Carbaryl

Correct answer: 2. Pyrethnun